Which of the following drug increases the duration of orthodontic treatment?
1. Phenytoin
2. Aspirin
3. Paracetamol
4. Vitamin D

Correct answer: 2. Aspirin